The most common primary neoplasm of the heart in adults is?
1. Lipoma
2. Myxoma
3. Papillary fibroelastoma
4. Rhabdomyoma

Correct answer: 2. Myxoma

Explanation: Ref: Robbins Pathology, 9th ed. pg. 575-76* MC tumor of heart: Secondaries* MC site of primary for cardiac secondaries: Lungs* Most common primary neoplasm of heart in adult: Myxoma* Most common primary neoplasm of heart in child: Rhabdomyoma* Most common malignant cancer of heart in adults: Angiosarcoma* Most common malignant cancer of heart in children: Rhabdomyosarcoma* Myxoma is a soft mass, consisting of edematous connective tissue irregularly covered by thrombus, commonly attached to the endocardium by a pedicle, and hanging free into a cavity, usually the left atrium. (MC site of myxoma: Left atrium)* It may block the mitral orifice, producing a murmur similar to that of mitral stenosis.* Embolism from the surface of the neoplasm or an overlying thrombus is common.* The papillary fibroelastoma is very rare and occurs on heart valves. Therefore most common cardiac valve tumor is papillary fibroelastoma.* MC site of myxoma: Left atrium* MC site of rhabdomyoma: Left ventricle* Myxoma is MC seen in females* MC age group of myxoma: 3rd- 6th decade